All of the following statements about Menetrier's disease are true Except:
1. It is a premalignant condition
2. Usually increased acid secretion
3. May be confused with Zollinger Ellison Syndrome
4. Associated with Protein losing enteropathy

Correct answer: 2. Usually increased acid secretion

Explanation: Answer is B (Usually increased acid secretion) Gastric acid secretion is usually reduced or absent because of replacement ofparictal cells' Harrison's Menetrier's disease carries an increased risk of developing adenocarcinoma of stomach (premalignant) is associated with a protein losing enteropathy and may be confused with Zollinger Ellison Syndrome as ZES also presents with large gastric folds.